In a female child at birth oocyte is in a stage of
1. Anaphase 2nd meiotic
2. Prophase 1st meiotic
3. Oogony
4. Maturation

Correct answer: 2. Prophase 1st meiotic

Explanation: B. i.e. Prophase 1st meiotic